Caldwell Luc procedure is carried out to access?
1. Orbital cavity
2. Maxillary sinus
3. Nasal floor
4. Submandibular space

Correct answer: 2. Maxillary sinus